Which among the following is a MAO inhibitor?
1. Phenelzine
2. Amitriptyline
3. Benztropine
4. Clonazepam

Correct answer: 1. Phenelzine

Explanation: Both phenelzine and amitriptyline are used in the treatment of major depression. Phenelzine, an MAO inhibitor, augments available catecholamine neurotransmitters for release into the synaptic cleft by inhibiting the intraneuronal breakdown of norepinephrine, serotonin, and dopamine. The degree of enzyme inhibition appears to be directly related to the antidepressant effect. Amitriptyline, a tricyclic antidepressant, exerts its therapeutic effect by means of inhibition of serotonin reuptake into the presynaptic neuron, thus enhancing the availability of neurotransmitter for action on the postsynaptic neuron. There is controversy surrounding the use of these medications for obsessive-compulsive disorder, phobic disorder, and panic attack, in which derangements in catecholamine neurotransmitters are also implicated. Clonazepam is a benzodiazepine used primarily as an anticonvulsant in the treatment of akinetic and myoclonic seizures. Haloperidol is a high potency antipsychotic agent with minimal anticholinergic properties and maximal dopamine-blocking properties; it is used in the treatment of schizophrenia, manic-depressive disorder, and other psychotic states. Benztropine is an anticholinergic used to manage the pseudoparkinsonian and extrapyramidal side effects of the higher potency antipsychotic agents like haloperidol. Ref: Olson K.R. (2013). Chapter 38. Poisoning. In M.A. Papadakis, S.J. McPhee, M.W. Rabow (Eds), CURRENT Medical Diagnosis & Treatment 2013.